Which of the following is the 'Yellow fever' reference centre?
1. Haffkin's institute, Mumbai
2. Central institute, Kasuali
3. NIN, Hyderabad
4. AIIMS, Delhi

Correct answer: 2. Central institute, Kasuali

Explanation: Ans. b (Central institute, Kasuali) (Ref. Park PSM 22nd/pg. 257)The 'Yellow fever' reference centres in India are# National Institute of Virology, Pune.# Central Research Institute, Kasauli.Measles vaccine in India is produced by# Serum institute Pune.In India, facilities for isolation of influenza virus are available at the following institutes1. Govt, of India, influenza Centre, Pasteur Institute, Coonor, South India.2. All India Institute of Medical Sciences, New Delhi.3. Armed Forces Medical College, Poona.4. Vallabhai Patel Chest Institute, Delhi.5. School of Tropical Medicine, Kolkata.6. Haffkine Institute, Mumbai.